Lift -off test is done to assess the function of
1. Supraspinatus muscle
2. Infraspinatus muscle
3. Teres minor
4. Subscapularis muscle

Correct answer: 4. Subscapularis muscle

Explanation: In this test,the patient is asked to stand and place one arm behind his her back with the dorsum of the hand resting against the mid-lumbar spine. The examiner then lifts the patient's hand off the back and the patient is told to hold it there. Inability to do this signifies subscapularis weakness,possibly due to rupture. A drawback is that the test calls for full passive internal rotation,so it cannot be used if internal rotation is painful or restricted. Ref: Maheshwari and Mhaskar 6e pg 95